Functional residual capacity is:
1. Volume remaining after forced expiration
2. Tidal volume + volume inspired forcefully
3. Volume remaining after normal expiration
4. Tidal volume + volume expired by forced expiration

Correct answer: 3. Volume remaining after normal expiration

Explanation: C i.e. Volume remaining after normal expiration